Pascal's law is used in which technique of hernia repair?
1. Lichtenstein mesh repair
2. Stoppa's preperitoneal repair
3. Bassini's repair
4. Darning repair

Correct answer: 2. Stoppa's preperitoneal repair

Explanation: Stoppa's preperitoneal repair In Stoppa's preperitoneal repair, the expanding intra-abdominal pressure holds the mesh in place without suture fixation. According to Pascal's law, any additional pressure exerted upon an enclosed fluid mass is transmitted equally n all directions. Use of large mesh extending 3-5 cm beyond the edge of defect in all sides utilizes Pascal's law.